Pinta is caused by
1. Treponema pertenue
2. Treponema cerateum
3. Treponema pallidum
4. Treponema endemicum

Correct answer: 2. Treponema cerateum

Explanation: Treponema cerateum